Management of posteromedial bowing of tibia in a 6 months old boy
1. Osteotomy
2. Cast with ponsetti method
3. ORIF
4. Observation

Correct answer: 4. Observation